Among the following which has the highest quantity of retinal per 100 g of fruit ?
1. Papaya
2. Orange
3. Ripe mango
4. Tomato

Correct answer: 3. Ripe mango

Explanation: Ans. is 'c' i.e., Ripe mango